Which statement concerning plasmids is true?
1. All plasmids possess the information for their own transfer by conjugation
2. Much of the information coded in the plasmid is essential to the survival of the bacteria cell
3. R plasmids carry genes for antibiotic resistance
4. R plasmids cannot be transferred to other bacterial cells

Correct answer: 3. R plasmids carry genes for antibiotic resistance

Explanation: Plasmids are small, circular, supercoiled DNA molecules found in some bacteria. They usually do not carry essential genes, but some plasmids, such as R (resistance) plasmids, carry genes coding for antibiotic resistance. All plasmids have their own origin of replication so that they are replicated along with the host chromosome and passed along to progeny cells. Only some plasmids possess genes that allow for their transmittal to other bacteria by the process of conjugation. Ref : Ananthanarayana textbook of Microbiology 9th edition Pgno : 18